Which of the following does NOT present in Auditory Pathway?
1. Superior olivary nucleus
2. Medial lemniscus
3. Medial geniculate body
4. Trapezoid body

Correct answer: 2. Medial lemniscus

Explanation: (B) Medial lemniscus # From cochlear nuclei, the main nuclei in the ascending auditory pathways, sequentially from below upwards.> Superior olivary complex> Nucleus of lateral lemniscus> Inferior colliculus> Medial geniculate body> Auditory cortex> Medial lemniscus does not present in Auditory Pathway